Klinefelter's syndrome is diagnosed by:
1. Karyotyping
2. Ultrasound abdomen
3. Triple test
4. Echocardiography

Correct answer: 1. Karyotyping

Explanation: Ans. A. KaryotypingBlood or urine samples can reveal abnormal hormone levels that are a sign OF Klinefelter syndrome. Chromosome analysis. Also called karyotype analysis, this test is used to confirm a diagnosis of Klinefelter syndrome.